Naeglers reaction is shown by
1. Cl. Tetani
2. Cl. Botulinum
3. Cl. Perfringenes
4. Cl. Septicum

Correct answer: 3. Cl. Perfringenes

Explanation: Naeglers reaction is due to α toxin = lecithinase C = Phospholipidase
So, given by Cl. perfiringes.